Chloroquine is given as 600 mg loading dose because :
1. It is rapidly absorbed
2. It is rapidly metabolized
3. It has increased tissue binding
4. It is rapidly eliminated

Correct answer: 3. It has increased tissue binding